Splaying and cupping of the metaphysis is seen in -
1. Rickets
2. Scurvy
3. Paget's disease
4. Lead poisoning

Correct answer: 1. Rickets

Explanation: Radiological findings in rickets : cupping of metaphysis splaying of metaphysis Fraying of metaphysis widening of growth plate widening of epiphysis cortical thining generalised osteopenia Triradiate pelvis